You were posted at a PHC catering to a population of 1,20,000. In the year 2006, a total number of 2500 liver born babies were delivered. Number of children dying under one year of age during 2006 was 150. What is the infant mortality rate of this population ?
1. 60
2. 70
3. 80
4. 90

Correct answer: 1. 60

Explanation: Ans. is 'a' i.e., 60